Best method to compare vital statistics of two populations -
1. Crude death rate
2. Age specific death rate
3. Age Standardized death rate
4. Multivariatie mortality rate

Correct answer: 3. Age Standardized death rate

Explanation: Ans. is 'c' i.e., Age standardize death rate o Standardization (or adjustment) of rates is used to unable the valid comparison of groups that differ regarding an important health determinant (most commonly age).o Age adjustment or age standardization removes the confounding effect of different age structures of two different population and yields a single standardized rate, by which the mortality experience can be compared directly.Direct standardizationIndirect standardizationo Age specific death rates of study population are applied to standard populationo Can not be used when age specific death rates are not available. So, following two are requiredi) Population in each are groupii) Number of deaths in each age groupo Age specific death rates of standard population are applied to study populationo Can be used when age specific death rates are not available.